Which one of the following vitamins stimulates calcium absorption by the GI tract?
1. Vitamin E
2. Vitamin D
3. Vitamin A
4. Vitamin K

Correct answer: 2. Vitamin D

Explanation: Ans. B. Vitamin DVitamin D plays an important indirect role in the absorption of calcium by the GI tract. The other vitamins listed are not involved in the absorption of calcium.